Tonsils develop embryologically from
1. First pharyngeal pouch
2. Second pharyngeal
3. Third pharyngeal pouch
4. Fourth pharyngeal pouch

Correct answer: 2. Second pharyngeal

Explanation: HUMAN EMBRYOLOGY-INDERBIR SINGH TENTH EDITION-PAGE NO:135 Second pouch The epithelium of the ventral part of this pouch contribute to the formation of the tonsil The dorsal part takes part in the formation of the tubotympanic recess